Diagnostic tumor marker for medullary thyroid cancer :
1. BRAF
2. VMA
3. Calcitonin
4. Melatonin - 1

Correct answer: 3. Calcitonin

Explanation: Medullary carcinoma of thyroid arises from parafolicular or C - cell which secrete "calcitonin".